The Most common cause of bleeding from nipple is
1. Scirrhous carcinoma
2. Fibrocystic disease
3. Duct papilloma
4. Paget's disease

Correct answer: 3. Duct papilloma

Explanation: (C) Duct papilloma